Embryonic perod is from?
1. 3 days to 1 week
2. 1 week to 3 weeks
3. 3 weeks to 8 weeks
4. 8 weeks onwards

Correct answer: 3. 3 weeks to 8 weeks

Explanation: ANSWER: (C) 3 weeks to 8 weeksREF: Dutta 6th ed p. 24, Langman's Embryology 10th ed Ch: 6Repeat OBG 2012 session I, 2012 Session 2Embryo stage begins at 3rd week and lasts till 8th weekThe fetal stage begins 8 to 10 weeks after conception and continues until the end of the pregnancy